Neostigmine is not able to cross blood brain barrier because of its:
1. Primary structure
2. Secondary structrure
3. Tertiary structure
4. Quarternary structure

Correct answer: 4. Quarternary structure

Explanation: Ans. (D) Quarternary structure(Ref: KDT 8th/e p116)Quarternary ammonium compounds are water soluble and thus cannot cross blood brain barrier. Neostigmine is a quarternary derivative whereas physostigmine is a tertiary amine.